Retrocaval ureter occurs due to persistence of:
1. Azygous vein
2. Hemiazygous
3. Anterior cardinal vein
4. Posterior cardinal vein

Correct answer: 4. Posterior cardinal vein

Explanation: Retrocaval Ureter- Aka Circumcaval ureter- Abnormal development of IVC causes ureter to pass behind IVC and to take U turn before draining to bladder.- Abnormal persistence of right posterior subcardinal vein Clinical features- Signs & symptoms of ureteric obstruction Diagnosis- MRI is IOC to a delineate anatomy clearly and non-invasively- IVP "Reverse J" "Fish Hook" Or "Shepherd Crook "deformity Treatment - Relocation ureteroureterostomy